What is the best way to control external hemorrhage:
1. Proximal tourniquet
2. External compression
3. Artery forceps
4. Elevation

Correct answer: 2. External compression

Explanation: Direct Pressure is the best method of controlling bleeding, where pressure is applied directly to the wound. This is done by placing cleanest gauze against the wound and applying firm pressure until a cover bandage is applied.Placing pressure on the wound will constrict the blood vessels manually, helping to stem any blood flow.